Occlusion of left anterior descending artery results in ischemia of
1. Anterolateral wall
2. Left atrium
3. Right ventricle
4. Interatrial septum

Correct answer: 1. Anterolateral wall

Explanation: Occlusion of left anterior descending artery result in ishemia of anteriolateral wall . Ref - BDC 6th edition vol1 pg 263-265